Psamomma bodies is associated with
1. Metastatic calcification
2. Dystrophic calcification
3. Apoptosis
4. Necrosis

Correct answer: 2. Dystrophic calcification